Breast fed baby is protected from some GI infection due to presence of what in mothers milk:
1. IgA
2. Vitamin D
3. Long chain omega-3 fatty acids
4. IgE

Correct answer: 1. IgA

Explanation: Ans. A i.e. IgA